Which drug is used in intracavernous injection for erectile dysfunction?
1. Epoprostrenol
2. Alprostadil
3. Sildenafil
4. Tadalafil

Correct answer: 2. Alprostadil

Explanation: AlprostadilQ contains naturally occurring prostaglandin E and, hence has vasodilator action. It can be injected into corpora cavernosa or administered intraurethrally. The firm erection is produced within 2 to 3 minutes and may last for 1 hour. Other injectable medications for erectile dysfunction include: Papaverine Phentolamine